Rapid maxillary expansion is not indicated after:
1. 6 years
2. 9 years
3. 12 years
4. 15 years

Correct answer: 4. 15 years